Red cell aplasia can be caused by :
1. Aminoglycosides
2. Chloramphenicol
3. Penicillins
4. Ciprofloxacin

Correct answer: 2. Chloramphenicol